Inhibition of myenteric plexus results in
1. Hyperacidity
2. Diarrhea
3. Decreased gut motility
4. Increased secretions

Correct answer: 3. Decreased gut motility

Explanation: Two major networks of nerve fibers are intrinsic to the gastrointestinal tract: the myenteric plexus (Auerbach's plexus), between the outer longitudinal and middle circular muscle layers, and the submucous plexus (Meissner's plexus), between the middle circular layer and the mucosa. Collectively, these neurons constitute the enteric nervous system. The myenteric plexus innervates the longitudinal and circular smooth muscle layers and is concerned primarily with motor control, whereas the submucous plexus innervates the glandular epithelium, intestinal endocrine cells, and submucosal blood vessels and is primarily involved in the control of intestinal secretion.REF: GANONG'S REVIEW OF MEDICAL PHYSIOLOGY, KIM BARRETT, SCOTT BOITANO, HEDDWEN BROOKS, SUSAN BARMANTWENTY THIRD EDITIONPAGE NO:448